The primary structure of a protein refers to
1. Linear structure and order of the amino acids present
2. Regular confirmational forms of a protein
3. Complete three-dimensional structure of the polypeptide units of a given protein
4. Subunit structure of the protein

Correct answer: 1. Linear structure and order of the amino acids present

Explanation: The linear sequence of amino acid residues and location of disulphide bridges, if any, in a polypeptide constitute its primary structure.